Brucella melitensis is commonly found in which animal?
1. Pig
2. Dog
3. Cattle
4. Goat

Correct answer: 4. Goat

Explanation: Most human infections in various parts of India are due to B.melitensis acquired from goat and sheep. Ref: Textbook of microbiology; Ananthanarayan and paniker's; 10th edition; Pg:348